Which of the following part of corpus callosum develops first -
1. Dorsal part of genu
2. Ventral part of genu
3. Rostrum
4. Splenium

Correct answer: 1. Dorsal part of genu

Explanation: Ans. is 'a' i.e., Dorsal part of genu o During development of corpus callosum, the dorsal part of genu and the body/trunk form first.o Subsequently, ventral (anterior) part of genu and then the splenium ariseo Last, the rostrum develops.o As a rule of thumb, the corpus callosum is formed from anterior to posterior, with the exception of anterior part of genu and rostrum.